Post mortem staining of carbon monoxide poisoning is?
1. Deep blue
2. Bark brown
3. Bright red
4. Cherry red

Correct answer: 4. Cherry red

Explanation: ANSWER: (D) Cherry redREF: Medical toxicology by Richard C. Dart Page 386; Parikh 6th Edition page 8.40, 3.10 Postmortem staining:PoisoningStainingCarbon monoxideCherry redCyanideBright red/pinkBurnsBright redPhosphorousDark brownNitratesRed brown/brownH2SBluish greenOpiumBlackAnilineDeep blueAsphyxiaPurple/bluish violetSeptic abortionGreenish brownChloratesChocolate brown